Components of chromosome are:
1. DNA
2. tRNA
3. m RNA
4. r RNA

Correct answer: 1. DNA

Explanation: A i.e. DNA